All of the following true of submucous resection operation for DNS except
1. Indicated in septal deviation
2. Mucoperichondrium is removed
3. Preferable done after 16 years of age
4. Done in some cases of epixtaxis

Correct answer: 2. Mucoperichondrium is removed

Explanation: SMR operation is indicated in septal deviation, recurrent epistaxis from scleral spur It is done after 16years of age, before 16 years septoplasty should be done In SMR, cartilage and bone are removed and preserving mucoperichondrium Re: Textbook of Ear, Nose and Throat, Dhingra, 6th Edition; Pg no: 413